Dermatopathv due to hypothyroidism presents as
1. Thyroid acropathy
2. Pre-tibial myoxedema
3. Peau d' orange appearance of skin
4. None of the above

Correct answer: 4. None of the above

Explanation: (D) None of the above# Pretibial myxedema (Myxoedema) is an infiltrative dermopathy, resulting as a rare complication of Graves' disease, with an incidence rate of about 1-4% in patients.> It usually presents itself as a waxy, discolored induration of the skin--classically described as having a so-called peau d'orange (orange peel) appearance--on the anterior aspect of the lower legs, spreading to the dorsum of the feet, or as a non-localised, non- pitting edema of the skin in the same areas.> Acropachy is a medical condition characterized by subperiosteal new bone formation, (aka Marie's Disease).> This most commonly manifests as clubbing of the fingers and toes with soft tissue swelling.> It is sometimes associated with Graves' disease but not with other causes of hyperthyroidism.